High Risk Mother Includes :
1. Ht <150 Cms
2. Wt <45 Kgs
3. Age >35 years and Twins pregnancy both
4. All

Correct answer: 4. All

Explanation: All